Following all are syndromes associated with renal disease except
1. Lowe Syndrome
2. Denys-Drash Syndrome
3. Alport Syndrome
4. Sinding-Larsen-Johansson Syndrome

Correct answer: 4. Sinding-Larsen-Johansson Syndrome

Explanation: d. Sinding-Larsen-Johansson Syndrome(Ref: Nelson's 20/e p 2497-2498, Ghai 8/e p 473, 500)Discussing about the options one by one,OptionsClinical manifestationsa. Lowe SyndromeOculocerebrorenal syndromeb. Denys-Drash SyndromeWilms tumor in kidneyc. Alport SyndromeHematuria, eye defects and sensorineural hearing lossd. Sinding-Larsen - Johansson SyndromePoint tenderness at the inferior pole of the patella associated with focal swelling